Which muscarinic agonist is used in the treatment of angle closure glaucoma?
1. Pilocarpine
2. Neostigmine
3. Brimonidine
4. Dipiveffine

Correct answer: 1. Pilocarpine

Explanation: Ans. is 'a' i.e., Pilocarpine Angle closure glaucomao Treatment of choice for acute congestive glaucoma - Laser iridotomy (1st choice), Peripheral iridectency (2nd choice)o Drug of choice for acute congestive glaucoma - Pilocarpineo Initially IOP is controlled (first drug used) - Systemic mannitol or acetazolamideOpen angle glaucomao Treatment of choiceo Drug of choiceo Surgery of choiceTopical antiglaucoma drugsb - blocker (Timolol, betaxolol, levobunalol)Argon or diode laser trabeculoplasty